Primary dentition begins to show teeth eruption by-
1. 6 weeks
2. 12 weeks
3. 6 months
4. 12 months

Correct answer: 3. 6 months

Explanation: Ans. is 'c' i.e., 6 months o Primary dentition begins to show teeth eruption at 6 month of age which to lower central incisor while calcification started at 3 month of age and crown completed at 4 month of age.o Permanent teeth1st molar = 6-7 yearsCentral and lateral incisor =6-8 yearsCannine and premolar = 9-12 years2nd molars = 12 yearsThird molars = 18 years and laterDeciduous teeth Upper LowerCentral incisor7 1/2 Month6 1/2 MonthLateral incisor8 Month7 MonthCannine16-20 Month16-20 Month1st molar12-16 Month12-16 Month2nd molar20-30 Month20-30 Month